All are true about antemortem contusion except-
1. Sequential color change
2. No inflammation
3. Raized enzyme levels
4. Blood cells in surrounding tissue

Correct answer: 2. No inflammation

Explanation: Ans. is 'b' i.e., No inflammation Differences between Antemortem & Postmortem contusionAnte Mortem ContusionPost Mortem Contusion1. Swelling is usually present1. Nil2. Size is more2. Less with same amount of force3. Colour changes, as per stage of healing seen3. Nil4. Colour not uniform - pale at centre4. Uniform5. Margins may be abraded or lacerated5. Usually not6. Margins diffuse into surroundings6. Clear cut7. Features of inflammation and vital reaction seen7. Absent8. Blood cannot be easily washed away8. Can be easily washed9. On microscopic examination, infiltration of surrounding tissues with blood cells seen9. Nil10. Enzyme levels are raised10. Nil